Gonococcus does not involve –
1. Testis
2. Fallopian tube
3. Epididyrnis
4. Cervix

Correct answer: 1. Testis

Explanation: Gonococci does not involve testis, whereas syphilis usually does not affect epididymis.